Minimental Serve-Maximum score is
1. 15
2. 27
3. 30
4. 40

Correct answer: 3. 30

Explanation: (C) 30 # Mental Status Examination:> Folstein mini-mental status examination (MMSE) is a standardized screening examination of cognitive function that is extremely easy to administer and takes <10 min to complete.> Using age-adjusted values for defining normal performance, the test is -85% sensitive and 85% specific for making the diagnosis of dementia that is moderate or severe, especially in educated patients.> When there is sufficient time available, the MMSE is one of the best methods for documenting the current mental status of the patient, and this is especially useful as a baseline assessment to which future scores of the MMSE can be compared.